Percentage of lidocaine in eutectic mixture
1. 1%
2. 2.55
3. 5%
4. 10%

Correct answer: 2. 2.55

Explanation: Eutectic mixture of local AnaestheticsThis is unique topical preparation which can anaesthetize the intact skinIt is a mixture of 2.5% lidocaine and 2.5 prilocaineIt acts slowly and the cream must held in contact with skin for at least 1 hourEMLA is used: to make venepuncture painless especially in children, and for the procedure like skin grafting & circumcision As systemic absorption of prilocaine can cause methemoglobinemia, EMLA should not be used on mucocutaneous membrane or in the very small child.(Refer: Morgan and Mikhail's Clinical Anaesthesiology, 5th edition, pg no. 754, 856)